Aniacinosis results in
1. Perleche
2. Bed ben
3. Pellagra
4. Nyctalopia

Correct answer: 3. Pellagra